Blood pressure in right ventricle
1. 25 mmHg
2. 80 mmHg
3. 95 mmHg
4. 120 mmHg

Correct answer: 1. 25 mmHg

Explanation: Peak pressures in theright ventricles is about 25 mm HgRef: Ganong's Review of Medical Physiology Twenty-Third Edition Page No:508